Duration of second heart sound is
1. 0.12 Sec
2. 0.1 Sec
3. 0.15 Sec
4. 0.2 Sec

Correct answer: 1. 0.12 Sec

Explanation: The second sound lasts about 0.12 s, with a frequency of 50 Hz. It is loud and sharp when the diastolic pressure in the aorta or pulmonary artery is elevated, causing the respective valves to shut briskly at the end of systole.Ref: Ganong's Review of medical physiology 25th edition. Page: 542